Fluctuating, recurring, variable sensorineural deafness is seen in
1. Serous otitis media
2. Hemotympanum
3. Perilabyrinthine fistula
4. Labrinthine concussion

Correct answer: 3. Perilabyrinthine fistula

Explanation: Sensorineural hearing loss is also seen in presbycusis, ototoxicity, Meniere's disease, acoustic neuroma, also been associated with diabetes, hypothyroidism, kidney disease, autoimmune disorders, multiple sclerosis and blood dyscrasias. Ref: PL DHINGRA diseases of ear nose and throat, 6th edition, page no 33